In MI the type of necrosis is:
1. Caseous.
2. Gangrenous.
3. Liquefactive.
4. Coagulative.

Correct answer: 4. Coagulative.

Explanation: Sequential Pathologic Changes in Mycocardial Infarction